Maximum shortening of limbs occur in
1. Trochantric femur
2. Post dislocation of hip
3. neck femur
4. Anterior dislocation of hip

Correct answer: 2. Post dislocation of hip

Explanation: Ans. is 'b' i.e. posterior dislocation of hip Be sure of the answer, we have been taught this in the clinics.Shortening of the limb is seen in: (in decreasing order)Post dislocation of hip (maximum) shaft femur Intertrochanteric neck femur